True about features of cholecystitis on USG :
1. Thick fibrosed gallbladder wall
2. Stone impacted at neck of gall bladder
3. Perigallbladder halo
4. All

Correct answer: 4. All

Explanation: A i.e. Thick fibrosed gall bladdar wall; B i.e. Stone impacted at neck of gall bladder; C i.e. Perigall bladdar halo